'Spider' colonies is produced by:
1. Bordetella pertusis
2. Vibrio cholerae
3. Actinomyces israelii
4. M. leprae

Correct answer: 3. Actinomyces israelii

Explanation: Ans. C i.e. Actinomycese israelii